Mode of action of fluoxetine is
1. GABA inhibition
2. Adrenergic neuron blocking action
3. Inhibition of axonal uptake of 5HT
4. Adrenergic stimulation

Correct answer: 3. Inhibition of axonal uptake of 5HT

Explanation: C i.e. Inhibition of axonal uptake of 5 HT